A chronic smoker taking 20 cigarettes per day has developed chronic cough. His family would like him to quit smoking. He is willing to quit but thinks that quitting will make him irritable. Which of the following option best describes the stage of behaviour change?
1. Action
2. Preparation
3. Precontemplation and preparation
4. Contemplation

Correct answer: 4. Contemplation

Explanation: The patient in the question is a chronic smoker, although he is worried about quitting smoking, he is ready for it as suggested by his family members. So he is most likely to be in the stage of contemplation and cost analysis according to the 'stages of behaviour change' model. In this stage, smokers realize or admit that tobacco use is unhealthy and they intend to quit smoking in the next 6 months. Ref: Essential Concepts for Healthy Living By Sandra Alters, 5th edition, page 9-10.